Sudden dorsiflexion of foot may lead to which of the following injuries -
1. Anterior talofibular ligament injury
2. Tendo Achilles avulsion injury
3. Rupture of deltoid ligament
4. Tarsal tunnel syndrome

Correct answer: 2. Tendo Achilles avulsion injury

Explanation: Ans. is 'b' i.e., Tendo Achilles avulsion injury Achilles tendon injuryo Achilles tendon is the thickest and strongest tendon in the body and is also the one of the most commonly injured tendon in the body.o The most common Achilles tendon injuries are :-i) Achilles tendinosis (formerly called Achilles tendonitis)ii) Achilles tendon ruptureAchilles tendinosis (Achilles tendonitis)o Achilles tendonitis is a condition that develops over time and is associated with degeneration of the tendon and inflammation that causes pain.o Achilles tendonitis is described as insertional or non-insertional:-?o Insertional achilles tendonitis :-Occurs where the achilles tendon interts into the calcaneum, i.e. at tendon-bone interface.o Non-insertional achilles tendonitis :-Occurs about one to two inches (2-5 cm) proximal to the site of insertion of the tendon.o The etiology of Achilles tendonitis is overuse."Achilles tendonitis is a chronic problem; it occurs primarily from overuse" -- Healthguide for sports"The etiology of Achilles tendonitis is overuse" -- Essential sports medicine Achilles tendonitis occurs more commonly in Atheletes, joggers and hikers.Achilles tendon ruptureo A rupture of the Achilles tendon occurs when the tendon is stretched outside beyond its capacity.o The most common site of rupture is the "watershed" less vascular area of tendon, which is 4 cm proximal to its insertion on calcaneum.